All of the following drugs are metabolised by acetylation except
1. INH
2. Sulfonamides
3. Ketoconazole
4. Hydralazine

Correct answer: 3. Ketoconazole

Explanation: Ans. is 'c' i.e. Ketoconazole Drugs undergoing Acetylation-SulfonamidesIsoniazidPASHydralazineProcainamideAlso knowDrugs undergoing glucuronide conjugationChloramphenicolAspirinPhenacetinMorphineMetronidazoleDrugs undergoing Glycine conjugationSalicylates andOther drugs with Carboxyl groupDrugs undergoing Glutathione conjugationParacetamol.